Putting profit ahead of health as a cause of disease is provided by which theory of Sociology –
1. Feminist
2. Parsonian
3. Marxist
4. Foucauldian

Correct answer: 3. Marxist

Explanation: Marxist theory
Is concerned with the relationship between health and illness and capitalist social organization
– Cause of disease is putting profit ahead of health